Resistance to Zidovudine develops due to
1. Mutation at reverse transcriptase
2. Increased efflux of the drug from inside the cell
3. Increased metabolism of drug
4. Decreased Zidovudine 5 triphosphate formation

Correct answer: 1. Mutation at reverse transcriptase

Explanation: Zidovudine is a nucleoside reverse transcriptase inhibitors which is a viral enzyme .HIV undergoes mutations in this enzyme to become resistant to NRTIs Refer :KDT 6/e p770